The muscle that aids in displacement of maxillary fractures are
1. Masseter
2. Temporalis
3. Orbicularis oculi and orbicularis oris
4. None of the above

Correct answer: 4. None of the above